SARS most common in ?
1. Coal miners
2. School kids
3. Pregnancy
4. Health care workers

Correct answer: 4. Health care workers

Explanation: Ans. is 'd' i.e., Health care workers Health care workers, especially those involved in procedures generating aerosols, accounted for 21 per cent of all cases. Maximum virus excretion from the respiratory tract occurs on about day 10 of illness and then declines. The efficiency of transmission appears to be greatest following exposure to severely ill patients or those experiencing rapid clinical deterioration, usually during the second week of illness. When symptomatic cases were isolated within 5 days of the onset of illness, few cases of secondary transmission occured. There was no evidence that patient transmits infection 10 days after fever has resolved. Children are rarely affected by SARS. To date, there have been two reported cases of transmission from children to adults and no report of transmission from child to child. Three separate epidemiological investigations have not found any evidence of SARS transmission in schools. Furthermore, no evidence of SARS has been found in infants of mothers who were infected during pregnancy.